In herpes simplex encephalitis, drugs used are, EXCEPT:
1. Acyclovir
2. Vidarabine
3. Ganciclovir
4. Amantadine

Correct answer: 4. Amantadine

Explanation: The most effective drug for herpes simplex encephalitis is acyclovir, given intravenously at a dosage of 10 to 15 mg/kg every 8 hours, with each dose given over 1 hour. Ganciclovir is an analogue of acyclovir which is active against all herpes viruses including Herpes simplex. Vidarabine is a purine nucleoside analogue with activity against HSV-1, HSV-2, VZV, and EBV. Vidarabine inhibits viral DNA synthesis through its 5'-triphosphorylated metabolite Amantadine is an antiviral agent whose dopaminergic properties make it effective in the treatment of Parkinson's disease and for prophylaxis against the parkinsonian side effects of neuroleptic agents. It is not used in herpes simplex encephalitis. Ref: Baden L.R., Dolin R. (2012). Chapter 178. Antiviral Chemotherapy, Excluding Antiretroviral Drugs. In D.L. Longo, A.S. Fauci, D.L. Kasper, S.L. Hauser, J.L. Jameson, J. Loscalzo (Eds), Harrison's Principles of Internal Medicine, 18e.